The drug that can cause hirsutism is
1. Minoxidil
2. Cycloserine
3. Valsartan
4. Dactinomycin

Correct answer: 1. Minoxidil

Explanation: Ans: a (Minoxidil)Ref: katzung 9 ed., Pg. 247Topical minoxidil is used for treating androgenic alopecia. The mechanism of action of minoxidil on hair follicles is unknownDrugs causing hirsutism- Minoxidil- Phenytoin- Cyclosporine- Diazoxide- Androgens- Oral contraceptives - containing progesterone- Penicillamine- Heavy metals- Acetazolamide